In the diffuse axonal injury, the typical location of lesions in the brain include
1. Para-saggital region
2. Cerebral cortex
3. Ventricles
4. White matter of cerebral hemispheres, corpus callosum and the upper brain stem

Correct answer: 4. White matter of cerebral hemispheres, corpus callosum and the upper brain stem

Explanation: Diffuse axonal injury (DAI) is a brain injury in which scattered lesions in white matter tracts as well as gray matter occur over a widespread area. Ref ganong's review of medical physiology 25e